Posterior communicating artery a branch of
1. Internal carotid
2. External carotid
3. Middle cerebral
4. Posterior superior cerebellar

Correct answer: 1. Internal carotid

Explanation: Posterior communicating artery is a branch of internal carotid which connects posterior cerebral artery Ref: Gray's 40e/p-250-251